What is the drug of choice to control supraventricular tachycardia?
1. Adenosine
2. Propranolol
3. Verapamil
4. Digoxin

Correct answer: 1. Adenosine

Explanation: a. Adenosine(Ref: Nelson's 20/e p 2282-2287, Ghai 8/e p 396-400)In stable patients with Supraventricular Tachycardia, Adenosine by rapid IV push is the treatment of choice because of its rapid onset of action and minimal effects on cardiac contractility.